Vitamin B12 intrinsic factor absorption occurs in
1. Duodenum
2. Ileum
3. Jejunum
4. Colon

Correct answer: 2. Ileum

Explanation: Most of the vitamins are absorbed in the upper small intestine, but vitamin B12 is absorbed in the ileum.Vitamin B12 binds to intrinsic factor and the complex is absorbed across the ileal mucosa.Vitamin B12 and folate absorption are Na+ independent.Other vitamins are absorbed by carriers that are Na+ cotranspoers.(Ref: Ganong's Review of medical physiology, 23 rd edition, page 458)